Recruitment of follicles is caused by
1. LH
2. FSH
3. Inhibin β
4. GnRH

Correct answer: 2. FSH

Explanation: FSH is responsible for recruitment of follicles.